Paraneoplastic opsoclonus myoclonus syndrome is most commonly associated with which malignancy in children?
1. Hepatoblastoma
2. Hepatocellular carcinoma
3. Lymphoma
4. Neuroblastoma

Correct answer: 4. Neuroblastoma

Explanation: Opsoclonus is a disorder of eye movement characterized by involuntary, chaotic saccades that occur in all directions of gaze; it is frequently associated with myoclonus and ataxia. Opsoclonus-myoclonus may be cancer-related or idiopathic. When the cause is paraneoplastic, the tumors involved are usually cancer of the lung and breast in adults and neuroblastoma in children. Ref: Harrison's principle of internal medicine 17th edition, chapter 97.